Which of these is not true regarding guttapercha?
1. 60-70% Gutta Percha
2. It can't be heat sterilized
3. Can stain the crown
4. 25 size cone is used for sinus tracing

Correct answer: 1. 60-70% Gutta Percha